Not a triad of congenital glaucoma:
1. Photophobia
2. Buphthalmos
3. Hyperlacrimation
4. Blepharospasm

Correct answer: 2. Buphthalmos

Explanation: Buphthalmos is not included in the triad of congenital glaucoma. Triad of congenital glaucoma: Lacrimation Photophobia Blepharospasm. Signs in congenital glaucoma Increased axial length Thin sclera Corneal edema Megalocornea Haab's striae(breaks inDescemet'smembrane) Deep anterior chamber Iridodonesis Berken's membrane Raised IOP Hazy Cornea